With regard to the malignant behavior of leiomyosarcoma, the most important criterion is
1. Blood vessel penetration by tumor cells
2. Tumor cells in lymphatic channels
3. Lymphocyte infiltration
4. The number of mitoses per high power field

Correct answer: 4. The number of mitoses per high power field

Explanation: Option 4 is correct=the number of mitosis per high power field Leiomyosarcomas typically take the form of soft, hemorrhagic, necrotic masses. The diagnostic features of overt leiomyosarcoma include tumor necrosis, cytologic atypia, and mitotic activity. Robbins basic pathology 9th edition page no 694,heading=leiomyosarcomas..box=Morphology ref img